Mangled Extremity severity score includes all of the following except
1. Shock
2. Ischemia
3. Neurogenic injury
4. Energy of injury

Correct answer: 3. Neurogenic injury

Explanation: MESS contains Energy of Impact, Limb ischaemia, shock, Age (ELISA is a mess)